Microscopic examination of articular surface of a synovial joint demonstrates?
1. Hyaline cartilage
2. Adipocytes
3. Endothelial cells
4. Periosteum

Correct answer: 1. Hyaline cartilage

Explanation: Hyaline cartilageREF: Basic histology, Carlos & Jose, 11th edition, Chapter 7, Cartilage, Textbook of human histology 4th e p. 92-94See APPENDIX-2 for "Types of cartilage"